Diaphysis fracture involves?
1. Skull bones
2. Long bone
3. Sternum
4. Ribs

Correct answer: 2. Long bone

Explanation: ANSWER: (B) Long boneREF: Turek's orthopaedics: principles and their application - page 10"The diaphysis is the main or mid-section (shaft) of a long bone"Long bones are found in the extremities: the arms, legs, hands, and feet (but not the wrists or ankles). As their name indicates, long bones have a long central shaft with knobby end portionsShort bones, which are cube-shaped, are found in confined spaces such as the wrist and ankle.The ribs, shoulder blades, sternum (breastbone), pelvis (hips), and most of the bones of the skull are considered flat bones.